Sodium fluoride is added to blood, as it inhibits:
1. Hexokinase
2. Glucokinase
3. Glucose-6-phosphatase
4. Enolase

Correct answer: 4. Enolase

Explanation: Sodium fluoride is used to conserve tissue samples in biochemistry and medicinal testing as fluoride ions stop glycolysis by inhibiting the enzyme enolase.Sodium fluoride is often used together with iodoacetic acid, which inhibits the enzyme aldolase